All are true about supraglottic laryngeal carcinoma except:
1. It is the most common site for carcinoma larynx
2. Involvement of upper & middle juglar Lymph nodes is seen
3. Point on swelling is the most common symptom
4. Stage T1 is treated by external beam radia therapy

Correct answer: 1. It is the most common site for carcinoma larynx

Explanation: Glottie part is the most common sites for carcinoma larynx followed by supraglottic & subglottic pats respectively.